Infertility due to PCOD is
1. Irreversible
2. Treatable by ovulation inducing drugs
3. Due to Hyperandrogenism
4. Resolves with age

Correct answer: 2. Treatable by ovulation inducing drugs

Explanation: Infertility due to PCOD is reversible and treatable using ovulation inducing drugs.